Trachealization of oesophagus is seen in?
1. Eosinophilic esophagus
2. Schatzki ring
3. GERD
4. Herpes simplex esophagitis

Correct answer: 1. Eosinophilic esophagus

Explanation: The presence of multiple corrugated rings and linear furrows all through a narrowed oesophagus is called Trachealisation of oesophagus/feline oesophagus. This is seen in eosinophilic esophagitis. Histological confirmation of eosinophilic esophagitis is made with demonstration of 15 eosinophils per HPF.